Salmonella osteomyelitis is common in
1. Sickle cell disease
2. HIV
3. IV drug abusers
4. Pregnancy

Correct answer: 1. Sickle cell disease

Explanation: ANSWER: (A) Sickle cell diseaseREF: Textbook of orthopedics and trauma, By GS Kulkarni, page 289Salmonella osteomyelitis is more common in children with sickle cell disease, hemoglobinopathies and thalassemia. The reason for this higher incidence is as follows:Local thrombosis of intestinal mucosa causes disruption of mucosal integrity causing invasion of intra luminal bacteriaHyposplenmic state leads to prolongation of bacteremia to establish infectionHypoxia and aseptic necrosis causes multiple infarction of bone, leading to the point of low resistance favoring localization and spread of salmonella.